Which of the following is the most common form of persistent trophoblastic disease that follows a non molar pregnancy?
1. Choriocarcinoma
2. Invasive mole
3. Placental site trophoblastic tumor
4. Partial mole

Correct answer: 1. Choriocarcinoma

Explanation: Gestational trophoblastic neoplasia (GTN) Invasive mole: Develops after molar pregnancy only. Very rarely follows other gestations PSTT (Placental Site Trophoblastic Tumor): may follow any type of gestation Choriocarcinoma: 2/3rd cases after normal delivery, 1/3rd cases after molar pregnancy Epitheloid Trophoblastic tumor: remote antecedant pregnancy NOTE: After a nonmolar pregnancy, persistent GTN always has the histologic pattern of choriocarcinoma. Histologic characterization of choriocarcinoma depends on sheets of anaplastic syncytiotrophoblast and cytotrophoblast without chorionic villi. The choriocarcinoma is classically a soft, fleshy, yellow-white tumour with a marked tendency to form large pale areas of ischemic necrosis, foci of cystic softening, and extensive haemorrhage.